Which of the following is responsible for phagocytosis?
1. C5a
2. C3a
3. C3b
4. TNF-a

Correct answer: 3. C3b

Explanation: The process of phagocytosis is further enhanced when microorganisms are coated with specific proteins, opsonins from the serum. Opsonins establish a bond between bacteria and bacteria and the membrane of the phagocytic cell. C3b is opsonin generated by activation of cothe complement pathway. Reference: Harsh Mohan textbook pathology, 7th edition, pg no:121